Most common Site of tongue Cancer
1. Base of tongue
2. Tip of tongue
3. Lateral margin of tongue
4. Posterior attachment of tongue

Correct answer: 3. Lateral margin of tongue

Explanation: Ans. (c) Lateral margin of tongueRef.: SRB Manual of Surgery 4th ed. /1310Squamous cell cancer of the tongue is the commonest cancer. The location is at the following sites* Lateral margin -50%* Posterior 1/3 rd tongue-20%* Dorsum-6.5%* Ventral surface- 6%* Tip-10%